Joint not involved in RA ?
1. PIP
2. DIP
3. Wrist
4. MCP

Correct answer: 2. DIP

Explanation: Ans. is 'b' i.e., DIP Joint Distal interphalangeal joint Proximal interphalangeal joint Metacarpophalangeal joint 1st Carpometacarpal joint Wrist Spared jointWrist and MTPDIP Important arthritis involving the joint Osteoarthritis, Psoriatic arthritis, Reactive arthritis Osteoarthritis, RA, SLE, Psoriatic arthritis RA, pseudogout, hemochromatosis Osteoarthritis RA, Pseudogout, gonococcal arthritis, juvenile arthritis Osteoarthritis RA